A hypertensive, diabetic is having proteinuria, antihypertensive of choice is :
1. Propanolol
2. Clonidine
3. Enalapril
4. Alpha methyldopa

Correct answer: 3. Enalapril

Explanation: Ans. is 'c' Enalapril (Ref. Harrison, 17/e, p 1561, 2288 & 16/e, p 1472, 2165 (15/e, p 1429)).Antihypertensive of choice in patients with diabetes is ACE inhibitor because:They have no known adverse effects on glucose or lipid metabolism.They minimize the development of diabetic nephropathy by reducing renal vascular resistance and renal perfusion pressure.